Varicella is classified under -
1. Enterovirus
2. Retrovirus
3. Poxvirus
4. Herpesvirus

Correct answer: 4. Herpesvirus

Explanation: HERPES VIRUSES

They are enveloped DNA (ds DNA) viruses.
Characterized by their ability to establish latent infections
They replicate in the host cell nucleus


They form Cowdry type A (Lipschutz) intranuclear inclusion bodies
They are divided into three subfamilies :


Alpha Herpes Viruses
Beta Herpes Viruses
Gamma Herpes Viruses